Which of the following is/ are a thought disorder?
1. Circumstantiality
2. Tangentiality
3. Prolixity
4. All the above

Correct answer: 4. All the above

Explanation: Ans. is 'd' i.e., All the aboveThought disordersDisorder of form (form is the structure of thought)Disorders of stream(flow of through)Disorders of possession(Control of thought)Disorders of content(Themes)o Loosening of associationo Derailmento Tangentialityo Substitutiono Omissiono Transitory thinkingo Drivelingo Desultory' thinkingo Neologismso Poverty of content of speecho Flight of ideaso Thought blocko Circumstantiality'o Prolixity'o Thought retardationo Perseverationo Obsessions and compulsiono Thought insertiono Thought withdrawalo Thought broadcaso Delusions referenceo Persecution, misinterpretationo Grandiostyo Nihilism etc.o Depressive cognitions (ideas of warthlessness, helplessness, warthlessness)o Overvaluedideas